Which antiepileptic drug does not act inhibition of sodium channels?
1. Vigabatrin
2. Carbamazepine
3. Lamotrigine
4. Pheriytoin

Correct answer: 1. Vigabatrin

Explanation: It is an inhibitor of GABAtransaminase, the enzyme which degrades GABA. Anticonvulsant action may be due to increase in synaptic GABA concentration Ref: KD TRIPATHI 8thh ed.